Which of the following laryngeal muscles is supplied by the external laryngeal nerve?
1. Posterior cricoarytenoid
2. Lateral cricoarytenoid
3. Cricothyroid
4. Thyroarytenoid

Correct answer: 3. Cricothyroid

Explanation: External laryngeal nerve only supplies cricothyroid muscle. Notes: Recurrent laryngeal nerve supplies posterior cricoarytenoid, lateral cricoarytenoid, transverse and oblique arytenoid, aryepiglottic, thyroarytenoid, thyroepiglottic muscles. It supplies all intrinsic muscles except cricothyroid. During thyroidectomy, the superior thyroid artery is located near the gland to save the external laryngeal nerve. BDC 6th edition pg 251